World Health Day is observed every year on
1. 11-Jan
2. April 7
3. 5-Jun
4. 1-Dec

Correct answer: 2. April 7